Relative Afferent papillary defect (RAPD) is characteristically seen in damage to
1. Optic nerve
2. Optic Tract
3. Lateral geniculate body
4. Occulomotor Nerve

Correct answer: 1. Optic nerve

Explanation: A i.e. Optic nerve